Hemiparesis is NOT a feature of -
1. Carotid artery occlusion
2. MCA occlusion
3. ACA occlusion
4. Vertebral artery occlusion

Correct answer: 4. Vertebral artery occlusion